Length of LES is ?
1. 1-2 cm
2. 3-4 cm
3. 1-2 mm
4. 3-4 mm

Correct answer: 2. 3-4 cm

Explanation: Ans. is 'b' i.e., 3-4 cm The lower esophageal sphincter (LES) is a bundle of muscles at the low end of the esophagus, where it meets the stomach.When the LES is closed, it prevents acid and stomach contents from traveling backwards from the stomach.The LES muscles are not under voluntary control.Lower esophageal splincter is at diaphragmatic constriction.Normal abdominal LES length (3.1cm)The basal pressure of the LES is 10-45 mmHg.